Most common cause of pelvic inflammatory disease is -
1. Sexually transmitted disease
2. IUCD
3. Pelvic peritonitis
4. Puerperal sepsis

Correct answer: 1. Sexually transmitted disease

Explanation: Ans. is 'a' i.e., Sexually transmitted disease Etiology of Pelvic Inflammatory Diseaseo Sexually transmitted disease is the most common cause. Gonococcal and chlamydial infections are the most common cause.o Postabortal or puerperal sepsiso IUCDo Tuberculosiso Pelvic peritonitis, due to appendicitis and diverticulitis.